Contraception of choice in menorrhagia :
1. Modified IUD
2. Cu-T
3. LNG IUD
4. Condom

Correct answer: 3. LNG IUD

Explanation: Mirena IUCD contains 52 mg levonorgestrel, because its action is local resulting in endometrial suppression, it takes 2 to 3 months to reduce menorrhagia and the effect lasts for 5 years. Reference: Shaw's Textbook of gynaecology 16th edition page no 343